Which of the following is NOT TRUE about post - traumatic stress disorder?
1. The onset of illness may occur many months after the traumatic event
2. Individual debriefing and early counselling are most effective method of treatment
3. Eye movement desensitization and reprocessing is effective
4. There is high risk of alcohol abuse in patients suffering from this disorder

Correct answer: 2. Individual debriefing and early counselling are most effective method of treatment

Explanation: Treatment of choice for PTSD is psychotherapy in the form of cognitive behavior therapy often in combination with pharmacotherapy.
There is no evidence that single - session individual psychological briefing is a useful treatment for PTSD.
Eye movement desensitization and reprocessing (EMDR) is an effective treatment for PTSD.
Symptoms of PTSD develop within 6 months of the stressor, however, 10% patients have delayed onset.
PTSD patients are high risk for alcohol abuse.